Positive progesterone challenge test in a patient of secondary amenorrhoea, seen in :
1. Asherman Syndrome
2. Endometrial TB
3. Hypopituitarism
4. PCOD

Correct answer: 4. PCOD

Explanation: Ans. is d i.e. PCOD If a patient is having positive progesterone challenge test it means Uterus is sufficiently primed with estrogen i.e. estrogen production is normal so, hypopituitarism (option "c") Uterus with its endometrial lining is normal i.e. Ashermann syndrome (option "a")and Endometrial TB (option "b") ruled out. Outflow tract is normal. The defect lies in production of progesterone (as when progesterone is supplemented from outside it results in withdrawl bleeding) and since progesterone is produced mainly by corpus luteum so, the defect is anovulation. The main cause of Anovulation in a case of 2deg amenorrhea is polycystic ovarian disease (option "d")